Aminoacid that enters the TCA cycle for gluconeogenesis & Ketogenic in nature
1. Pheylalanine
2. Alanine
3. Glycine
4. Serine

Correct answer: 1. Pheylalanine

Explanation: Phenylalanine is both glucogenic (gluconeogenic) and ketogenic.